Conversion of T4 to T3 is inhibited by all except:
1. Propranolol
2. Propylthiouracil
3. Amiodarone
4. Methimazole

Correct answer: 4. Methimazole

Explanation: Ans. (D) Methimazole(Ref: KDT 8/e p252-253)Methimazole inhibits only thyroid peroxidase whereas propylthiouracil inhibits thyroid peroxidase as well as 5'-deiodinase. Later is involved in peripheral conversion of T4 to T3 (Katzung 12/e p688, Goodman Gilman 12/e p1150)